Chlamydial infection is a/w -
1. Coronary heart disease
2. LGV
3. Ophthalmia neonatorum
4. All

Correct answer: 4. All

Explanation: Ans. is 'a' i.e., Corononary heart disease; 'b' i.e., LGV; 'c' i.e., Ophthalmia Neonatorum . "Epidemiological studies have demonstrated an association between serologic evidence of C. pneumoniae infection and atherosclerotic disease of the coronary and other arteries." . "Occasiaonal patients develop endocarditis and C. psittaci infection should be considered in cases of culture-negative endocarditis." . Pneumonia caused by C. pneumoniae resembles the primary atypical pneumonia of M. pneumoniae. . C. trachomatis types D to K can cause ophthalmia neonatorum. . C. trachomatis (type LI; L2, L3) causes L.G.V.